The following are complications of stricture urethra except -
1. Periurethral abscess
2. Inguinal hernia
3. Hydronephrosis
4. Papilloma of bladder

Correct answer: 4. Papilloma of bladder

Explanation: Ans. is 'd' i.e., Papilloma of bladder